Kallu, a 22 year old male had an outing with his friends and developed fever of 38.5 degree C, diarrhoea and vomiting following eating chicken salad. 24 hours back. Two of his friends developed the same symptoms. The diagnosis is -
1. Salmonella enteritis poisoning
2. Bacillus cereus
3. Staphylococcus aureus
4. Vibrio cholera

Correct answer: 1. Salmonella enteritis poisoning

Explanation: Ans. is 'a' i.e., Salmonella enteritis poisoning o Food poisoning in this child has following features : - i) IP --> 24 hours ii) Fever present iii) Diarrhea present iv) Vomiting present o Amongst the given options, only salmonella food poisoning can produce these features : o Commonly asked bacterial food poisoning. Organism Symptoms Food soure Incubation period 1. Staph aureus Diarrhea, Vomiting, No fever Meat, dairy & poultry product 1-6 hrs 2. Bacillus cereus Vomiting, diarrhea, No fever Fried rice (emetic type) Incubation period 8-16 hrs 1. Bacillus cereus (diarrheal type) Diarrhea, no vomiting, no fever wide range --> meat vegetables, cereals 2. Cl. perfringens Diarrhea, no vomiting, no fever Beef, poultry, legumes Incubation period 1. V. cholerae Diarrhea, vomiting, No fever wide range of food > 16 hrs 2. V. Parahemolyticus Diarrhea, vomiting, fever Sae food 3. Salmonella species Diarrhea, fever, rarely vomiting Beef, Paultry, eggs, dairy products 4. Shigella species Diarrhea, fever rarely vomiting Potato or egg salad, raw vegetables 5. Campylobacter jejuni Diarrhea, fever, no vomiting Paultry raw milk